All of the following are true regarding Chronic fatigue syndrome, EXCEPT
1. Multiple painful joints/associated with knee pains without swelling
2. More common in men
3. Painful cervical lymph nodes
4. Pain not relieved even after rest

Correct answer: 2. More common in men

Explanation: (B) More common in men # Chronic Fatigue syndrome is: Clinically evaluated, unexplained, persistent or relapsing fatigue that is of new or definite onset; is not the result of ongoing exertion; is not alleviated by rest; and results in substantial reduction of previous levels of occupational, educational, social, or personal activities; and Four or more of the following symptoms that persist or recur during six or more consecutive months of illness and that do not predate the fatigue: Self-reported impairment in short-term memory or concentration Sore throat Tender cervical or axillary nodes Muscle pain Multi-joint pain without redness or swelling Headaches of a new pattern or severity Unrefreshing sleep Postexertional malaise lasting 24 h